All of the following are transaminated EXCEPT:
1. d- amino group of ornithine
2. a- amino group of proline
3. a- amino group of serine
4. a- amino group of cysteine

Correct answer: 2. a- amino group of proline

Explanation: Only a amino group takes part in transamination. Except:- d -amino group (non-a) of ornithine takes part in transamination, where enzyme is OAT (Ornithine Amino Transferase). Out of the 20 amino acids, 3 amino acids do not take part in transamination. Proline Lysine Threonine